All of the following is true regarding blindness except -
1. There is estimated 45 million people blind world-wide
2. 20% of cases blindness in India is due to cataract
3. Most common cause of blindness in India is cataract
4. Visual acuity less than 3/60 is blindness

Correct answer: 2. 20% of cases blindness in India is due to cataract

Explanation: *62.6% cases blindness in India is due to cataract *19.7% due to refractive error. Ref- Park's textbook of Preventive and social medicine 23rd edition.